In a FAP patient which is an important CA risk
1. Retinoblastoma
2. Brain tumor
3. Colorectal CA
4. Prostate CA

Correct answer: 3. Colorectal CA

Explanation: Ref: Robbins Pathology, 9th ed. pg. 809* Familial adenomatous polyposis (FAP) is an autosomal dominant disorder in which patients develop numerous colorectal adenomas as teenagers.* Robbins states: "Colorectal adenocarcinoma develops in 100% of untreated FAP patients, often before age 30 and nearly always by age 50"* As a result, prophylactic colectomy is the standard therapy for individuals carrying APC mutations. Colectomy prevents colorectal cancer, but patients remain at risk for neoplasia at other sites.* FAP is also associated with a variety of extraintestinal manifestations:# Congenital hypertrophy of the retinal pigment epithelium# Gardner syndrome and# Turcot syndrome